A 69-year-old woman being treated for dysrhythmias with quinidineFor the above patient on a specific medication, select the most likely side effects to occur.
1. sensory loss
2. prolonged QT interval
3. Parkinsonism-like symptoms
4. action tremor

Correct answer: 2. prolonged QT interval

Explanation: The slowed repolarization can result in a prolonged QT interval. Life-threatening polymorphic ventricular tachycardias (torsades de pointes) can be provoked by quinidine. It is rarely used in modern practice. The increased refractory period accounts for the effect on tachycardia. Similar effects are seen with procainamide.